Cerebral infarction is caused by
1. Toxoplasma
2. Mucor
3. Aspergillosis
4. All of the above

Correct answer: 4. All of the above

Explanation: Refer Robbins page no 1363 Causes of cerebral infarction. Syphilis Tuberculosis Toxoplasmosis Aspergillosis Mucormycosis CMV encephalitis